Flocculonodular lobe has direct connections with
1. Red nucleus
2. Inferior olivary nucleus
3. Vestibular nucleus
4. Dentate nucleus

Correct answer: 3. Vestibular nucleus

Explanation: Flocculonodular lobe has direct connections with vestibular nuclei and it is concerned with balance, equilibrium and eyeball movements Ref: Ganong 25th ed/page 248